The working of an MRI machine is based on the properties of which of the follwoing?
1. Protons
2. Electrons
3. CO2
4. O2

Correct answer: 1. Protons

Explanation: The patient is placed in a strong magnetic field. The protons (H-atoms) in the body align themselves in the body either in the same direction or in the opposite direction. A strong radio signal is sent at the level where an image needs to be taken. The vibration or spin of te atoms is used to record the tissue images. It is best suited for non-calcified tissue. It is contraindicated with pacemaker and chips. It has no ionising radiation. It is generally not useful for lung and bone pathology.